Colour of Entonox cylinder is
1. Black body, white shoulder
2. Grey body, black and white shoulder
3. Black body, brown and white shoulder
4. Blue body, white shoulder

Correct answer: 4. Blue body, white shoulder

Explanation: Entonox cylinder has blue body and white shoulder.